False about optic nerve glioma
1. May be a part of von recklinghausen's disease
2. Unilateral axial proptosis
3. Most common primary orbital tumour among children
4. CT shows fusiform enlargement of optic nerve

Correct answer: 3. Most common primary orbital tumour among children

Explanation: M/c primary orbital tumour among children is Rhabdomyosarcoma.